What changes are expected when carotid sinus is digitally compressed?
1. Heart rate decreases, peripheral resistance increases
2. Heart rate and peripheral resistance decreases
3. Peripheral resistance and contractility decreases
4. Peripheral resistance and contractility increases

Correct answer: 2. Heart rate and peripheral resistance decreases

Explanation: Carotid sinus pressure will produce increased baroreceptor discharge inhibits the tonic discharge of the vasoconstrictor nerves and excites the vagal innervation of the heart, producing vasodilation, venodilation, a drop in blood pressure, bradycardia, and a decrease in cardiac output.